Mucormycosis is caused by
1. Rhizopus arrhizus
2. Rhizopus oryzae
3. Absidia corymbifera
4. All of the above

Correct answer: 4. All of the above

Explanation: Mucormycosis is caused by zygomycetes family which is characterized by aseptate & obtuse angled hyphae This family includes:- Rhizopus Mucor Absidia - Mucormycosis is also known as zygomycosis - Mucor infection is very common in patients of diabetes mellitus and patients having frequent blood transfusion